Surgical neck fracture leads to all EXCEPT:
1. Teres major palsy
2. Teres minor palsy
3. Weakness of abduction
4. Deltoid muscle palsy

Correct answer: 1. Teres major palsy

Explanation: AXILLARY NREVE (C5, C6) is injured due to surgical neck fracture or due to shoulder dislocation.